Antibody in asthma treatment -
1. Omalizumab
2. Rituximab
3. Transtusuzumab
4. Daclizumab

Correct answer: 1. Omalizumab

Explanation: Omalizumab is a blocking antibody that neutralises circulating IgE without binding to cell-bound IgE ,and ,thus inhibits IgE mediated reactions in asthma.Patients should be given a 3 to 4 month trial of therapy to show objective benefit.Omalizumab is usually given as a subcutaneous injection every 2-4 weeks and appears not to have significant side effects,although anaphylaxis is very occasionally seen. Reference:Harrison's medicine-18th edition,page no:2112.